Ankylostoma enters human body by:
1. Ingestion
2. Inhalation
3. Penetration of skin
4. Inoculation

Correct answer: 3. Penetration of skin

Explanation: Ans: c (Penetration of skin)Ref: Chatterjee Parasito, 12th ed, p. 172